In which of the following condition gastric wash is contraindicated?
1. Oxalic acid
2. Sulphuric acid
3. Opiate
4. Dhatura

Correct answer: 2. Sulphuric acid

Explanation: The only absolute contraindication is corrosive poisoning (except carbolic acid), owing to the danger of perforation. In the following conditions stomach wash can be done by taking proper precautions: Convulsant poisons Comatose patients Volatile poisons Upper alimentary disease (e.g., esophageal varices) Marked hypothermia and hemorrhagic diathesis Ref: The Essentials of Forensic Medicine and Toxicology by KS Narayan Reddy, 27th edition, Page 453.